Generated 3-4 Hz spike and slow wave complex is seen in
1. GTCS
2. Abscence seizure
3. Simple partial seizure
4. Myoclonic epilepsy

Correct answer: 2. Abscence seizure

Explanation: During an absence seizure, your brain's electrical signals repeat themselves. A person who has absence seizures may also have altered levels of neurotransmitters. Hyperventilation or flashing lights may trigger an absence seizure in others. Doctors may never find a specific cause for some patients. Abscence seizure : * Typical absence seizures have a bimodal distribution for age of onset; * First peak at 5-8 years (childhood) * Second peak near 12 years of age (juvenile) Childhood Absence Epilepsy (CAE) * CAE is a childhood epilepsy syndrome occurring in 10-17% of all childhood onset epilepsy. * The most common pediatric epilepsy syndrome. * Females > males * Usually start at 5-8 yr of age. * No aura. * Usually last for only a few seconds. * Accompanied by eye lid flutter or upward rolling of eyes. * Absence seizures can have simple automatisms like lip-smacking or picking at clothing. * Head can minimally fall forward. * No postictal period. * Hyperventilation for 3-5 min can precipitate the seizures and the accompanying 3 Hz spike--and--slow-wave discharges. Reference: GHAI Essential pediatrics, 8th edition